Group B Nerve fibers are situated in:
1. Muscle spindles
2. Fibers carrying pain sensation
3. Preganglionic autonomic fibers
4. Post ganglionic autonomic fibers.

Correct answer: 3. Preganglionic autonomic fibers

Explanation: Ans. is 'c' is Preganglionic autonomic fibres Nerve fiber types in mammalian nerve:Fiber Type AFunctionFiber Diameter (mm)Conduction Velocity (m/s)alphaProprioception; somatic motor*12-20(Max.)* 70-120betaTouch, pressure*5-1230-70gammaMotor to muscle spindles*3-615-30deltaPain, cold, touch*2-512-30BPreganglionic autonomic*<33-15C Dorsal rootPain, temperature, some mechanoreceptor, reflex responses0.4-1.20.5-2Sympathetic*Postganglionic sympathetic0.3-1.30.7-2.3* A and B fibres are myelinated; C fibres are unmyelinated.